Cells charcteristic of Hodgkin's disease are -
1. Lacunar cells
2. Reed - Sternberg cells
3. Giantcells
4. Eosiphils

Correct answer: 2. Reed - Sternberg cells

Explanation: The classical diagnostic feature of Hodgkin's disease is the presence of Reed -Sternberg cell.Classic RS cell is characterised by bilobed nucleus appearing as mirror image of each other, each nucleus contains a prominent , eosinophilic, inclusion like nucleolus with a clear halo around it, giving it an owleye appearance .

Reference: Harsh mohan textbook of pathology 6th edition pg no 369.